A patient on anti-psychotic drugs develops temperature of 104°C, BP about 150/100 and abnormal behavior.What is the likely diagnosis?
1. Aggravation of psychosis
2. Parkinsonism
3. Dystonia
4. Neuroleptic malignant syndrome

Correct answer: 4. Neuroleptic malignant syndrome